Signet ring appearance is seen in -
1. Granulosa cell tumor
2. Krukenberg tumor
3. Teratoma
4. Dysgerminoma

Correct answer: 2. Krukenberg tumor

Explanation: Ans. is 'b' i.e., Krukenberg tumor FeatureOvarian tumoro Call-Exner bodieso Reinke crystalloidso Psammoma bodieso Pseudomyxoma peritoneio Signet ring cellso Rokitansky's protuberanceGranulosa-theca cell tumorHilus cell tumors (pure leydig cell tumor)Serous cystadenomaMucinous cystadenomaMetastatic krukenberg's tumorsMature (benign) teratoma (Dermoid cyst)